Decreased motility of fallopian tube is seen in -
1. Churg- strauss syndrome
2. Kartagener s syndrome
3. Noonan syndrome
4. Turner syndrome

Correct answer: 2. Kartagener s syndrome